Loud S1 is caused by-
1. Calcified mitral valve
2. Mitral Regurgitation
3. Short PR interval
4. Bradycardia

Correct answer: 3. Short PR interval

Explanation: Loud S1: Tachycardia Short PR Interval. Mitral stenosis Tricuspid stenosis Soft S1: Bradycardia Prolonged PR Interval Aortic regurgitation Pulmonary regurgitation. Ref : Harrison's 20th edition pg 1563